Women carrying BRCA 1 gene are more likely to develop which type of breast carcinoma
1. Medullary
2. Lobular
3. collnid
4. Secretory

Correct answer: 1. Medullary

Explanation: Medullary carcinomas occur with increased frequency in women with BRCA1 mutations, although most women with medullary carcinoma are not carriers. These carcinomas uniformly lack the estrogen and progesterone receptors and do not overexpress HER2/NEU (a combination that often is referred to as triple-negative). ref : Robbins Basic Pathology, 9E,page-712